Which of the following is a Mortality Indicator?
1. Life Expectancy
2. Notification Rate
3. DALY
4. Bed turn-over ratio

Correct answer: 1. Life Expectancy

Explanation: Ans. (a) Life Expectancy* Life Expectancy is a 'Positive mortality indicator'ALSO REMEMBER* DALY is a type of disability rate* Bed turn-over ratio is a type of heath care utilization rate